The special tray which is used for agar impression material, has a water channel, which helps in setting of the material. The temperature of water flowing in channel is
1. 25 deg - 35 deg
2. 37 deg - 45 deg
3. 15 deg - 17 deg
4. 18 deg - 21 deg

Correct answer: 4. 18 deg - 21 deg